Nilutamide is an:
1. Anti-convulsant
2. Anti-androgen
3. Anti-progestin
4. Anti-oestrogen

Correct answer: 2. Anti-androgen

Explanation: Antiandrogen -Flutamide and bicalutamide, nilutamide antagonise androgen action on prostate carcinoma and have a palliative effect in advanced/metastatic cases. Because they increase androgen levels, combination with orchiectomy or GnRH analogs is required to produce a full therapeutic effect. (REF. Essentials of Pharmacology TD TRIPATHI 6th EDITION page no 828)